The enzyme associated with the conversion of androgen to oestrogen in the growing ovarian follicle is:
1. Desmolase
2. Isomerase
3. Aromatase
4. Hydroxylase

Correct answer: 3. Aromatase

Explanation: Aromatase